Chronic hemodialysis in ESRD patient is done
1. Once per week
2. Twice per week
3. Thrice per week
4. Daily

Correct answer: 3. Thrice per week

Explanation: Ans. (c) Thrice per weekRef : Harrison 19th ed. /1823For the majority of patients with ESRD, between 9 and 12 h of dialysis are required each week, usually divided into three equal sessions.Current Targets of Hemodialysis* Urea reduction ratio (the fractional reduction in blood urea nitrogen per hemodialysis session) of >65-70%.* Body water-indexed clearance x time product (KT/V) above 1.2 or 1.05.REMEMBERHypotension is the most common acute complication of hemodialysis. Since the introduction of bicarbonate- containing dialysate, dialysis-associated hypotension has become less common. The management of hypotension during dialysis consists of discontinuing ultrafiltration, the administration of 100-250 mL of isotonic saline or 10 mL of 23% saturated hypertonic saline, or administration of salt-poor albumin.